Formation of excessive amounts of granulation tissue, which protrudes above the level of the surrounding skin and blocks re-epithelialization is called:
1. Proud flesh
2. Keloid
3. Desmoids
4. Hypertrophic scar

Correct answer: 1. Proud flesh

Explanation: The accumulation of excessive amounts of collagen may result in a raised scar known as a hypertrophic scar and they tend to regress over several months.
If  the scar tissue grows beyond the boundaries of the original wound and does not regress, it is called a keloid.
Exuberant granulation is another deviation in wound healing characterized by the formation of excessive amounts of granulation tissue, which protrudes above the level of the surrounding skin and blocks reepithelialization, this process has been called, proud flesh.
Rarely, incisional scars or traumatic injuries may be followed by exuberant proliferation of fibroblasts and other connective tissue elements that may, in fact, recur after excision called desmoids, or aggressive fibromatoses.

Robin’s Textbook of pathology 10th ed Page 93-94